Hypercalciuria is seen in:
1. Hyperparathyroidism
2. Vit. D intoxication
3. Sarcoidosis
4. All

Correct answer: 4. All

Explanation: Answer is D (All of the above): Hypercakiuria may be associated with Vitamin D intoxication (hypervitaminosis D), Sarcoidosis and hyperparathyroidism. Causes of Hypercalciuria-associated Nephrolithiasis in Children and Adults Idiopathic hypercalciuria Increased intestinal calcium absorption - Granulomatous disease e.g. sarcoidosis - Hypervitaminosis D - Milk alkali syndrome Increased bone resorption Immobilization e.g. paraplegia and quadriplegia High animal protein diet Systemic acidosis e.g. distal renal tubular acidosis - Adrenocorticotrophic hormone or cortisol excess - Primary hyperparathyroidism Decreased renal calcium reabsorption - Barret's syndrome - Chronic loop diuretic administration - X-linked hypercalciuria nephrolithiasis - Familial hypocalcemic hypercalciuria Systemic disease associated with chronic hypercalcemia - Williams syndrome - Primary hyperparathyroidism